Which of the following drugs is likely to damage the eighth cranial nerve when administered for a long period of time?
1. Ethambutol
2. Isoniazid
3. Rifampicin
4. Streptomycin

Correct answer: 4. Streptomycin